Which of the following medical conditions does not mimic an anxiety disorder state?
1. Hyperparathyroidism
2. Pheochromocytoma
3. Hypoglycaemia
4. Alcohol withdrawal

Correct answer: 1. Hyperparathyroidism

Explanation: Ref image - internet